Friedlander's bacillus is the eponym of
1. Klebsiella rhinoscleromatis
2. Klebsiella pneumoniae
3. Proteus vulgaris
4. Bacillus anthracis

Correct answer: 2. Klebsiella pneumoniae

Explanation: K.pneumoniae is also known as Friedlander's bacillus. Klebsiella causes pneumoniae which is a serious disease with high case fatality. K.pneumoniae is a frequent cause of urinary tract infection, often causing catheter-associated UTI (CAUTI) Ref: Textbook of microbiology; Ananthanarayan and paniker's; 10th Edition; Pg:287